In concussion trauma, damage to ocular structures is caused by:
1. Mechanical tearing of the tissues
2. Disruption of physiological activity by damage to tissue cells
3. Vascular damage leading to ischaemia
4. All of the above

Correct answer: 4. All of the above

Explanation: Ans. All of the above